Branched chain aminoacid is used in:
1. MODS
2. SIRS
3. Sepsis
4. Isolated hepatic failure

Correct answer: 4. Isolated hepatic failure

Explanation: Ans: d (Isolated hepatic failure)Ref: Various internet sitesBranched chain amino acids are used in hepatic encephalopathy to improve mental function and muscle control.They have been tried in burns, sepsis and trauma but without much success.Eg of branched chain amino acid -valine, leucine and isoleucine.